Most common nerve injured in anterior shoulder dislocation:
1. Median nerve
2. Circumflex branch of axillary nerve
3. Musculocutaneous nerve
4. Ulnar nerve

Correct answer: 2. Circumflex branch of axillary nerve

Explanation: Ans. B: Circumflex branch of axillary nerve Nerve commonly injured in anterior dislocation is Axillary nerve, manifesting as deltoid parlysis, with a small area of anaesthesia over the lateral aspect of the shoulder Terms and related nerves: Injury to upper end of humerus: Axillary nerve palsy Anterior dislocation of shoulder: Axillary nerve palsy Crutch palsy: Radial nerve involvement Pointing index: Median nerve palsy Ape thumb deformity: Median nerve palsy Carpal tunnel syndrome: Median nerve involvement Card test: Ulnar nerve palsy Meralgia paresthetica: Lateral cutaneous nerve of thigh compression Winging of scapula: Long thoracic nerve of Bell palsy Supracondylar humerus fracture: Median nerve (anterior interosseous nerve)